In choledochal cyst, most common type is:
1. Type 1
2. Type 2
3. Type 4
4. Type 4A

Correct answer: 1. Type 1

Explanation: Type 1 is the most common type and constitute about 50% of the choledochal cysts. Type 5 is dilation confined to intrahepatic bile ducts (caroli's disease). Ref: Sabiston, 18th Edition, Page 1577